Which of the following is not an appropriate investigation for anterior urethral stricture -
1. High frequency ultrasound
2. Micturating cystourethrogram
3. Retrograde urethrogram
4. Magnetic Resonance Imaging

Correct answer: 4. Magnetic Resonance Imaging

Explanation: Radiological studies in urethral stricture -- (1) Retrograde urethrography - It is the mainstay of radiographic investigation of stricture disease (2) Voiding cystourethrogram / Maturating cystourethrogram MCU demonstrates the segment of urethra proximal to the stricture. (3) Endoscopy Retrograde urethroscopy Antegrade cystrourethroscopy (4) Sonographic urethrogram MRI has no role in the diagnosis of urethral strictures.